Left testicular vein drains into
1. Left renal vein
2. Inferior vena cave
3. Common iliac vein
4. Internal iliac vein

Correct answer: 1. Left renal vein

Explanation: The veins emerge from the back of the testis, and receive tributaries from the epididemis; they unite and form a convoluted plexus, which constitutes the greater mass of the spermatic cord; the vessels composing this plexus are very numerous, and ascend along the cord, in front of the ductus difference.Below the subcutaneous inguinal ring, they unite to form three or four veins, coalesce to form two veins. These unite to form a single vein, which opens, on the right side, into the inferior vena cava (at an acute angle), on the left side into the left renal vein (at a right angle). ref - BDC 6e vol2 pg 225